All of the following are true regarding fracture of lateral condyle of humerus except -
1. Usually seen at 6 - 10 years of age
2. Results in Gun stock deformity
3. Cubitus valgus occurs
4. Tardy ulnar nerve palsy is seen

Correct answer: 2. Results in Gun stock deformity

Explanation: Ans. is 'b' i.e., Results in gun stock deformity * Gun stock deformity occurs as a result of Supracondylar fracture of humerus.Fracture Lateral Condyle Humerus/Jupiter fracture* It is a common fracture in children. The lateral condylar (or capitular) epiphysis begins to ossify during the first year of life and fuses with shaft at 12-16 years. Between these ages it may be sheared off or avulsed by forceful traction. The maximum chances of injury is between 6-10 years.Complications* Lateral spur (Lateral condylar spur or lateral condylar overgrowth) is one of the most common complication.* Delayed union or non-union can occur if fracture is undetected or left untreated.* Cubitus valgus is a common complication. It is caused by persistent upward displacement of the fractured condyle or by retardation of epiphyseal growth on the affected side from damage to the growing epiphyseal cartilage. Rarely, cubitus varus may also occur due to inadequate reduction and growth stimulation of lateral condylar physis from the fracture insult.* Tardy ulnar nerve palsy seen after several years.* Rarely avascular necrosis and myositis ossificans.* Posterolateral instabily and recurrent instability may occur occasionally due displacement of large condylar fragment.